All of the following are signs of internal malignancy except –
1. Acanthosis nigricans & annular erythema
2. Bullous pyoderma & migratory necrotizing erythema
3. Granuloma annulare
4. Erythema annulare

Correct answer: 3. Granuloma annulare